Cardiac output is decreased by?
1. Increased Heart rate
2. Decreased Heart rate
3. Increased Stroke Volume
4. None

Correct answer: 2. Decreased Heart rate

Explanation: ANSWER: (B) Decreased Heart rateREF: Ganong's 22nd e p. 570-571Indirect repeat from June 2011Repeat(**)Cardiac output= Stroke volume X Heart rateCardiac output is decreased by decrease in either stroke volume or heart rate or both